Vesicoureteric reflux is diagnosed by:
1. Micturating cystography
2. X ray abdomen
3. CECT Abdomen
4. Intravenous pyelography

Correct answer: 1. Micturating cystography

Explanation: Ans. A. Micturating cystographyVesicoureteric reflux refers to the retrograde flow of urine from bladder to ureters and pelvis at rest or during micturition.Pathogenic organisms that might be present in the bladder can gain access to the renal parenchyma initiating inflammation and renal scarring. Two techniques are commonly used to detect VUR. The radiocontrast MCU is commonly used since in addition to showing VUR it provides excellent anatomical details. Isotope radionuclide cystography is more sensitive for detecting VUR and causes less radiation exposure but provides less anatomical details.